The most common site of Berry aneurysm is -
1. Junction of anterior communicating artery with anterior cerebral artery
2. Junction of posterior communicating artery with internal carotid artery
3. Bifurcation of middle cerebral artery
4. Vertebral artery

Correct answer: 1. Junction of anterior communicating artery with anterior cerebral artery